The WHO permissible limit of arsenic in drinking water is:-
1. 0.01 mg/L
2. 0.001 mg/L
3. 0.01 microgram/L
4. 0.1 mg/L

Correct answer: 1. 0.01 mg/L

Explanation: WHO permissible limit of arsenic content in drinking water is 0.01 mg/L